Antidote of choice for Belladonna poisoning ?
1. Disulfiram
2. Atropine
3. Physostigmine
4. Flumazanil

Correct answer: 3. Physostigmine

Explanation: Ans. is 'c' i.e., PhysostigmineAntidote of choice for belladonna (atropa belladonna or atropine) poisoning - Physostigmine.